Anti hypertensive causing impotence-a) ACEb) Propranololc) Atenolold) Nifedipin
1. abc
2. bcd
3. ac
4. bd

Correct answer: 2. bcd